Which of the following is not a branch of Cavernous segment of Internal Carotid artery?
1. Cavernous Branch
2. Inferior Hypophyseal Branch
3. Meningeal branch
4. Ophthalmic branch

Correct answer: 4. Ophthalmic branch

Explanation: The ophthalmic artery (OA) is the first branch of the internal carotid artery distal to the cavernous sinus. Branches of the OA supply all the structures in the orbit as well as some structures in the nose, face, and meninges. Occlusion of the OA or its branches can produce sight-threatening conditions.